Woody feeling of the external nose (Hebra nose) is observed in
1. Rhinophyma
2. Rhinoscleroma
3. Rhinosporidiosis
4. Rhinitis sicca

Correct answer: 2. Rhinoscleroma